In a female child at birth oocyte is in a stage of-
1. Anaphase 2nd meiotic
2. Prophase 1st meiotic
3. Oogony
4. Maturation

Correct answer: 2. Prophase 1st meiotic

Explanation: Primary oocytes formed from the oogonia enter a prolonged prophase (diplotene stage) of the first meiotic division and remain in this stage until ovulation occurs after puberty.